Fear of pain is
1. Acrophobia
2. Hydrophobia
3. Nyctophobia
4. Algophobia

Correct answer: 4. Algophobia

Explanation: Acrophobia - fear of height Hydrophobia- fear of water Nyctophobia - fear of night Algophobia - fear of pain Ref: FORENSIC MEDICINE AND TOXICOLOGY Dr PC IGNATIUS THIRD EDITION PAGE 361